Denominator for GFR is -
1. Mid year population
2. Females 15-44 years
3. Married female
4. None

Correct answer: 2. Females 15-44 years

Explanation: Ans. is 'b' i.e., Females 15-44 years 000)Perinatal Mortality Rate =(Foetal deaths weighing over 1000 gms i.e 28 wks gestation or more + early neonatal death within 7 days of b\rth)!{total no. of live birth) x 1000Infant Mortality Rate=(No. of deaths of infants/no. of live births) x 1000Neonatal Mortality Rate =(no. of deaths of neonate/No. of live births) x 1000Under 5 mortality rate or child mortality rate =(no. of deaths of children less than 5 yrs of age in a given yearIno. of live birth)x 10001-4 year mortality rate=(No. of deaths of children aged 1 -4 yrs during a year.' total no. ofchildren aged 1-4 yrs at the middle of the year) x 1000